The most common side effects of cancer chemotherapy is nausea with or without vomiting .The anticancer drugs vary in their ability to cause nauesa and vomiting .which of the 6 anticancer drugs is least6 likely to cause6 nausea and vomiting
1. Chlorambucil
2. Cisplatin
3. Doxorubucin
4. Danurubicin

Correct answer: 1. Chlorambucil

Explanation: Cisplantin and cycloohosphamide have very high emetogenic potential wherrsas6 chlorambucil and busulfan have the least Refer KDT 7th/859 Refer Harrison 18th/708